The most common location of hypertensive intracranial haemorrhage is
1. Subarachnoid space
2. Basal ganglia
3. Cerebellum
4. Brain stem

Correct answer: 2. Basal ganglia

Explanation: Most common locations of hypertensive intraparenchymal hemorrhage are


basal ganglia (especially the putamen)


thalamus
cerebellum
ports


It usually results from spontaneous rupture of small penetrating artery deep in the brain.